Organs first to be injured in blast -
1. Ear, lung
2. Kidney, spleen
3. Pancreas, duodenum
4. Liver, muscle

Correct answer: 1. Ear, lung

Explanation: The synopsis of forensic medicine & toxicology ; Dr k.s narayan reddy ;28th edition ; pg.no. 138 Tympanic membrane rupture most commonly with hemorrhage in the ear . Blast lung is the other most common injury .